'Rubber band' extraction is a method of extraction in patients having
1. Bleeding disorders
2. Myocardial infarction and angina pectoris
3. Supernumerary teeth
4. Impacted teeth

Correct answer: 1. Bleeding disorders